Maximum refraction is done by:
1. Anterior surface of lens
2. Posterior surface of lens
3. Anterior surface of cornea
4. Posterior surface of cornea

Correct answer: 3. Anterior surface of cornea

Explanation: Power of eye is contributed by surfaces where refraction of light occurs as it traverses from the external environment to the retina. These are: - Anterior surface of cornea ( max contribution) - Posterior surface of cornea - Anterior surface of lens - Posterior surface of lens